Which of the following is recombinant PTH ?
1. Teriparatide
2. Cinacalcet
3. Carisoprodol
4. Oxethazaine

Correct answer: 1. Teriparatide

Explanation: Ans. is 'a' i.e., Teriparatide Teriparatide - recombinant preparation of 1 - 34 residues of amino terminal of human PTH, introduced for treatment of osteoporosis. Injected s.c. 20mcg once daily. Increase bone mineral density and stimulate bone formation. Reduces risk of vertebral as well as non - vertebral fractures in osteoporotic women.